During 1st stage of labor, FHR should be auscultated in low risk pregnancy after every:
1. 10 mins
2. 15 mins
3. 30 mins
4. 45 mins

Correct answer: 3. 30 mins

Explanation: Ans. is c, i.e. 30 minutesAuscultation of fetal heart sounds is a very good way of intrapartum fetal monitoring. Fetal heart sounds should be auscultated as here. 1st stage2nd stageLow riskevery 30 minsevery 15 minsHigh riskevery 15 minsevery 5 mins